Adoptive immunity is by -
1. Infection
2. Injection of antibodies
3. Injection of lymphocytes
4. Immunization

Correct answer: 3. Injection of lymphocytes

Explanation: Ans. is 'c' i.e., Injection of lymphocytes